Most common cause of post-partum haemorrhage is :
1. Uterine atony
2. Retained products
3. Trauma
4. Bleeding disorders.

Correct answer: 1. Uterine atony

Explanation: Ans. is 'a' Uterine atony Causes of Post mortem hemorrhageAtonic uterus (80%)*Grand multipara *Overdistension of uterus*Malnutrition and anemia *APH*Prolonged labour*AnaesthesiaDelivery with aid of oxytocinPersistent uterine distensionMalformation of uterusUterine fibroid*Mismanaged 3n^ stage of labourConstriction ringPrecipitate labourTraumatic Q MixedD) Blood coagulopathy